In glycogen, the linkage at branch points is
1. Alpha -1,4
2. Alpha-2,3
3. Alpha-1,6
4. ss-1,4

Correct answer: 3. Alpha-1,6

Explanation: option c: In glycogen, the linkage at branch points is alpha-1,6 In glycogen , Linkage at straight chains alpha -1,4 branch points alpha-1,6